All the following structures passes through foramen Ovale except?
1. Accessory meningeal artery
2. Middle meningeal artery
3. Lesser petrosal nerve
4. Emissary vein

Correct answer: 2. Middle meningeal artery

Explanation: MALE structures pass through foramen ovale M- Mandibular nerve A - Accessory meningeal artery L - Lesser petrosal nerve E - Emissary vein Middle meningeal artery passes through Foramen spinosum